The longest transit time in GIT is seen in
1. Stomach
2. Jejunum
3. Colon
4. Ileum

Correct answer: 3. Colon

Explanation: The longest transit time is seen in the colon. Average Transmit Time Segment Transit time Esophagus 2-3 seconds Stomach 2-5 hours Small intestine 3-6 hours Caecum 4 hours First third of colon 6 hours Second third of colon 9 hours Sigmoid colon 12 hours Ref: Ganong's Review of medical physiology 26th edition pgno: 493-494